A 5 year old child presents with confusion, increased salivation, lacrimation, fasciculations, miosis, tachycardia and hypertension. Which of the following poisons can cause these manifestation?
1. Opium
2. Organophosphate insecticide
3. Dhatura
4. Organoch I orine pesticide

Correct answer: 2. Organophosphate insecticide

Explanation: B i.e. Organophosphorus insectiside